Which of the following is strictly not a vitamin?
1. Thiamine
2. Riboflavin
3. Niacin
4. Cobalamin

Correct answer: 3. Niacin

Explanation: NIACIN IS NOT STRICTLY A VITAMIN Niacin was discovered as a nutrient during studies of pellagra. It is not strictly a vitamin since it can be synthesized in the body from the essential amino acid Reference: Harper; 30th edition; Page no: 556